Ipratropium bromide acts on which receptors and its use is?
1. M2 bronchial asthma
2. M1 Peptic ulcer
3. M3 COPD
4. Nm Asthma

Correct answer: 3. M3 COPD

Explanation: Ipra and tiotropium bromide are m3 receptor blockers more selective for bronchial muscle causing bronchial dilatation, so used in bronchial asthma and COPD M3 receptors are present on bronchial smooth muscle Ref: KDT 6th ed pg 113